Gradient in pulmonary artery wedge pressure and left ventricular end diastolic pressure is seen in
1. Aortic regurgitation
2. Constrictive pericarditis
3. Left atrial myxoma
4. Pulmonary thromboembolism

Correct answer: 3. Left atrial myxoma

Explanation: Answer is C (Left atrial myxoma) An increased gradient during diastole is suggestive of an obstructive lesion between Left atrium and Left ventricle that is not allowing pressures to normalize between the atria and ventricle such as atrial myxoma. Pulmonary artery wedge pressure represents Left atrial pressure. Left ventricular end diastolic pressure represents Left ventricular pressure. Gradient between Left atrial pressure (PCWP) and Left ventricular pressure during diastole: Normally there is no gradient during diastole as both pressures are equal. An increased gradient during diastole is suggestive of an obstructive lesion between Left atrium and Left ventricle that is not allowing pressures to normalize between the atria and ventricle. This may thus be seen in obstructive lesions between Left atria and ventricle such as : Mitral stcnosis Atrial myxomas